Both Vitamin K and C are involved in:
1. The synthesis of clotting factors
2. Post translational modifications
3. Antioxidant mechanisms
4. The microsomal hydroxylation reactions

Correct answer: 2. Post translational modifications